Lord's and Jaboulay's operation is indicated for
1. Hydrocele
2. Varicocele
3. Seminoma
4. Teratoma

Correct answer: 1. Hydrocele

Explanation: (Hydrocele) (1408-LB 24th) (1382-B & L 25th)Treatment of Hydrocele - Lord's operation is suitable when the sac is reasonably thin walled. There is minimal dissection and the risk of haematoma is reduced.Eversion of the sac with placement of the testis in a pouch prepared by blunt dissection in the facial planes of the serotum is an alternative (Jabouley's procedure)Varicocele - Embolisation of the testicular vein under radiographic control is probably the treatment of choice (1407-LB)* Simplest surgical procedure is ligation of the testicular vein above the inguinal ligaments where the pempiniform plexus has coalesced into one or two vessels